Which virus may produce incomplete progeny ?
1. Influenza
2. Measles
3. Mumps
4. Polio

Correct answer: 1. Influenza

Explanation: Ans. is 'a' i.e., Influenza When cells are infected with high dose of influenza virus, there is defective asembly during replication and the progeny virons are imcomplete and non-infective.This is called as Man - magnus phenomenon